Which of the following artery is derivative of the second branchial arch?
1. Maxillary artery
2. Middle meningeal artery
3. Stapedial artery
4. Anterior tympanic artery

Correct answer: 3. Stapedial artery

Explanation: In adult life, the first arch artery is represented by the maxillary artery .the second arch artery persists for some part of fetal life as the stapedial artery:it may contribute to the formation of the external carotid artery. Ref: Human Embryology, Inderbir Singh, 10th edition, page no: 251